Which of the following about atherosclerosis is true ?
1. Intake of unsaturated fatty acid associated with decreased risk
2. Thoracic aorta involvement is more severe than abdominal aorta involvement
3. Extent of lesion in veins is same as that in arteries
4. Hypercholesterolemia does not always increase the risk of atherosclerosis per se

Correct answer: 1. Intake of unsaturated fatty acid associated with decreased risk